Superior colliculus is concerned with:
1. Olfaction
2. Hearing
3. Vision
4. Pain sensation

Correct answer: 3. Vision

Explanation: Vision